Pizza pie appearance is seen in ?
1. Toxoplasmosis
2. Congenital rubella
3. Drug toxicity
4. CMV retinitis

Correct answer: 4. CMV retinitis

Explanation: Ans. is 'd' i.e., CMV retinitis